Organism commonly causing diarrhoea in young children is:
1. Rotavirus
2. Calci virus
3. E. coli
4. Staphylococcus

Correct answer: 1. Rotavirus

Explanation: Ans: a (Rota vims) Ref: Nelson, 18th ed, p. 1399; 17th ed, p. 1081; OP Ghai, 6th ed, p. 270In early childhood, the single most important cause of severe dehydrating diarrhoea is rota virus infection.Important pathogens of human viral gastroenteritis* Rota vims\* Adenovirus* Astro vims* Calci vims such as Norwalk agentSerotyping of rota virus depends on the outer capsid glycoproteins VP7 and VP4Most important adverse event of rota virus vaccine is intussusception among the recipients of the vaccine usually occurring during the 1st week after immunization and usually after lst dose, due to this the use of this vaccine is banned. (PGI 2007 december)